Larynx extends from
1. C2-C5
2. C3-C6
3. C5-T1
4. C4-T1

Correct answer: 2. C3-C6

Explanation: Larynx extends from the root of the tongue to the trachea.In the adult male it lies in front of the third to sixth cervical vertebrae,but in children and in the adult female it lies at a little higher level. REF.BDC VOL.3,FIFTH EDITION